Graft used in infra inguinal by pass is -
1. PTFE
2. Dacron
3. Autologous vein
4. Autologous artery

Correct answer: 3. Autologous vein